Most common agent responsible for bronchiolitis is
1. RSV
2. Adenovirus
3. Herpesvirus
4. Influenza virus

Correct answer: 1. RSV